Morbilliform eruptions is seen in:
1. Scarlet fever
2. Rubella
3. Toxic shock syndrome
4. All

Correct answer: 2. Rubella

Explanation: B i.e. Rubella